A patient with multiple imparted supernumerary teeth, and can bring his shoulders together is suffering from:
1. Klinefelter's syndrome
2. Trisomy 21
3. Down's syndrome
4. Cleidocranial dysostosis

Correct answer: 4. Cleidocranial dysostosis